Keratomalacia is due to -
1. Vit-A deficiency
2. Keratoconus
3. Vitamin E deficiency
4. Also seen in retinitis pigmentosa

Correct answer: 1. Vit-A deficiency

Explanation: Ans. is 'a' i.e., Vit-A deficiency o Keratomalacia It is a common condition in developing countries and is due to deficiency of vitamin A.o The condition is usually bilateral.o In keratomalacia, the cornea becomes dull and insensitive, hazy and yellow infiltrates form until finally the whole tissue undergoes necrosis and seems to melt away within a few hourso A characteristic feature is the absence of inflammatory reaction.o Keratomalacia is often precipitated by an acute systemic illness such as measles, penumonia or severe diarrhoea.